Most common tumor of vertebral spine in adults
1. Secondary deposits
2. Multiple myeloma
3. Lymphoma
4. Hemangioma

Correct answer: 1. Secondary deposits

Explanation: (A) Secondary deposits> Most common secondary deposits from visceral primary malignancy occurs in the site of vertebral spine.> Most common primary bone marrow malignancy is multiple myeloma> Most common primary malignant bone tumor is osteosarcoma.